Investigation of choice for dysphagia lusoria is?
1. Barium studies
2. X-ray
3. CT angiography
4. Esophageal manometry

Correct answer: 3. CT angiography

Explanation: Dysphagia lusoria Compression of the oesophagus by the aberrant right subclavian artery * Barium study of the esophagus may show the indentation on the posterior esophageal wall by the artery. * Chest x-ray can demonstrate enlargement of the superior mediastinum. * CT angiography and MRI thorax are the best diagnostic modalities that could identify the dysphagia lusoria. * In children, the most common presentations are stridor and recurrent chest infections, may be due to their tracheal softening comparing to adult population.